Sparrow foot marks are associated with which type of injury:
1. Motor cyclist's fracture
2. Under-running or tail gating
3. Steering wheel impact
4. Wind screen impact

Correct answer: 4. Wind screen impact

Explanation: Sparrow foot marks: Multiple punctate lacerations of face of the occupants of front seat of vehicle. Due to impact of shattered windscreen. The side of the injuries helps in determining whether the victim was driver or front seat passenger. Motor-cyclists fracture: Hinge fracture/transverse fracture of base of skull Steering wheel impact: Fractures of the jaws and facial bones Imprint abrasions Minor bruises contusions of the chest or bilateral rib fractures